Best Biological indicator of air pollution is
1. Gambusia fish
2. Poecilia
3. Lichens
4. Algae

Correct answer: 3. Lichens